56 years old woman has come to OPD with the complaints of hot flushes, irritability, joint pains and lack of sleep. Most appropriate treatment would be:
1. Hysterectomy
2. Calcium and vitamin supplementation
3. Combined estrogen, progesterone preparations
4. Bisphosphonates

Correct answer: 3. Combined estrogen, progesterone preparations

Explanation: The symptoms that the patient is suffering from are post menopausal symptoms due to deficiency of estrogens. Therefore the alleviation of these shall require hormone replacement therapy Indications of hormone replacement therapy in a menopausal woman Relief of vasomotor symptoms: hot flushes Prevention and treatment of osteoporosis Urogenital atrophy Depression, insomnia Premature Menopause Drugs used for HRT Estradiol Conjugated equine Estrogen Tibolone Synthetic Estrogen combined estrogen + progesterones SERM(Selective Estrogen Receptor Modulator) Raloxifene Estrogenic on bone C/I for Hot flushes Plant Estrogen Bisphosphonates: only for osteoporosis, not for vasomotor symptoms Alendronate Risendronate